A 16 years old girl failed in her final examination. Disgusted with life, she cut across the front of wrist at the flexor retinaculum. She was rushed to hospital. The surgeon noticed that cut was superficial. All the following structures would have been damaged except :
1. Ulnar nerve
2. Median nerve
3. Palmar cutaneous branch of median nerve
4. Superficial branch of radial artery

Correct answer: 2. Median nerve

Explanation: Structures superficial to flexor retinaculum :

        Palmaris longus.
        Ulnar vessels and nerve.
        Palmar cutaneous branches of median and ulnar nerves.

 Structures deep to flexor retinaculum :

      Median nerve.
      Flexor digitorum superficialis.
      Flexor digitorum profundus.
      Flexor pollicis longus.
     Flexor carpi radialis.